Subclavian artery is divided by which muscle ?
1. Pectoralis minor
2. Teres minor
3. Scaleneus anterior
4. Trapezius

Correct answer: 3. Scaleneus anterior

Explanation: Ans. is 'c' i.e., Scaleneus anterior Scaleneus anterior muscle divides subclavian artery into three parts :?A) First part :This part is medial (proximal) to scaleneus anterior. Branches from first part are :?Vertebral arteryInternal thoracic arteryThyrocervical trunk:Costocervical trunk (on left side only).B) Second part :This part lies posterior to scalenus anterior. It gives origin to Costocervical trunk on right side. Costocervical trunk gives following branches:Deep cervical arterysuperior intercostal artery.C) Third part :This part lies lateral (distal) to scalenus anterior. It gives dorsal scapular artery (sometimes dorsal scapular artery arises from transverse cervical artery, a branch of thyrocervical trunk).